Which of the following normally has a slowly depolarizing “prepotential”
1. Sinoatrial node
2. Atrial muscle cells
3. Bundle of His
4. Purkinje fibers

Correct answer: 1. Sinoatrial node

Explanation: Rhythmically discharging cells have a membrane potential that, after each impulse, declines to the firing level. Thus, this prepotential or pacemaker potential triggers the next impulse.